A 50 year old diabetic female presents with intense pruritis and discharge from vagina. Smear of the discharge shows budding yeast cells. What is the most likely causative agent?
1. Candida albicans
2. Trichomonas vaginalis
3. Mobilincus
4. Chlamydia trachomatis

Correct answer: 1. Candida albicans

Explanation: For mucocutaneous candidiasis, a wet mount, scrapings or smears obtained from skin, nails, or oral or vaginal mucosa are examined under the microscope for hyphae, pseudohyphae, or budding yeast cells. Trophozoites of Trichomonas vaginalis are pyriform and 7-30 um long. They have five flagella. The large nucleus is usually located at the wider, anterior end and contains many chromatin granules and a small karyosome. The cytoplasm also contains many granules, but these are often not seen in Giemsa-stained specimens. Mobiluncus is a genus of gram-positive, anaerobic, rod-shaped bacteria. C. trachomatisis a Gram-negative bacteria, therefore its cell wall components retain the counter-stain safranin and appear pink under a light microscope.